Which of the following immunoglobulins is rich in serum and body secretions?
1. Ig G
2. IgA
3. Ig M
4. IgD

Correct answer: 2. IgA

Explanation: IgA is the second most abundant immunoglobulin constituting 10-13% of the total. It is the predominant immunoglobulin in seromucous secretions such as saliva, tears, colostrum, breast milk and tracheobronchial and genitourinary secretions. In human sera more than 80% of IgA occurs as monomer containing 2H and L chains but in seromucous secretions it occurs as a dimer cing 4H and 4L chains and is known as secretory IgA.